Antidepressant drug that can cause neuroleptic malignant syndrome and tardive dyskinesia is:-
1. Amineptin
2. Fluoxetine
3. Amoxapine
4. Trazodone

Correct answer: 3. Amoxapine

Explanation: Amoxapine acts by blocking D2 receptors in addition to the inhibition of NA reuptake. It possesses antipsychotic properties as well It is a metabolite of antipsychotic drug; loxapine. Due to blockade of D2 receptors, there is risk of extrapyramidal symptoms like dystonia, neuroleptic malignant syndrome, tardive dyskinesia etc.